Salmon patch is seen in -
1. Interstitial keratitis
2. Disciform keratitis
3. Acne rosacea
4. Phlectenular keratitis

Correct answer: 1. Interstitial keratitis

Explanation: Interstitial keratitis denotes an inflammation of thecorneal stroma without primary involvement of theepithelium or endothelium. The clinical picture of interstitial keratitis can bedivided into three stages: initial progressive stage,florid stage and stage of regression. salmon's patch seen in Florid stage. Florid stage. In this stage eye remains acutelyinflamed. Deep vascularization of cornea, consistingof radial bundle of brush-like vessels develops. Sincethese vessels are covered by hazy cornea, they lookdull reddish pink which is called 'Salmon patchappearance'. REF:Comprehensive ophthalmology,4th edition,pg no.114